Mammography is useful in:
1. Detection of early cancers
2. Lobular carcinoma of opposite breast
3. Large fatty breast
4. All of the above

Correct answer: 4. All of the above

Explanation: Ans. All of the above